All of the following statements about Diabetes Ketoacidosis are true, Except:
1. DKA is commoner in type I
2. Anion gap is increased
3. Serum PH <7.4
4. Serum bicarbonate in DKA is >15_meq/I

Correct answer: 4. Serum bicarbonate in DKA is >15_meq/I

Explanation: Answer is D (Serum Bicarbonate > 15 meq/I): Serum Bicarbonate levels in Diabetic Ketoacidosis (DKA) are typically less than 15 meq/l. Diabetic Ketoacidosis is an acute complication typically seen in patients with Type -I or Insulin Dependent Diabetes Mellitus characterized by High Anion Gap Metabolic acidosis (PH < 7.4) and Bicarbonate levels < 15meq/I.